Protein requirment in an adult male per day -
1. 1 g/kg/day
2. 1.5g/kg/day
3. 2 g/kg/day
4. 5 g/kg/day

Correct answer: 1. 1 g/kg/day

Explanation: Ans. is 'a' i.e., 1g/kg/day Recommended protein allowancesGroupParticulars(g / kg / day)Mansedentary work (60 kg)moderate work1 heavy work Womansedentary work (55 kg)moderate work heavy work1Infants0 to 3 months1.16 3 to 6 months1.16 6 to 9 months1.69 9 to 12 months1.69Children1 to 3 years1.3 4 to 6 years1.12 7 to 9 years1.18AdolescentsMales 10 to 12 years1.16 13 to 15 years1.14 16 to 18 years1.11 Females 10 to 12 years1.15 13 to 15 years1.11 16 to 18 years1.06